What is the diagnosis in this patient who appeared sick, had a bull neck, and was tachycardic?
1. Diphtheria
2. Epiglottitis
3. Infectious mononucleosis
4. Rheumatic fever

Correct answer: 1. Diphtheria

Explanation: Answer A. DiphtheriaThe patient's features are typical of diphtheria. Her throat culture was positive for Corynebacterium diphtheriae. The patient recovered after the initiation of treatment with penicillin.